Eye of a newborn:
1. Emmetropic
2. Myopic
3. Hypermetropic
4. Astigmatic

Correct answer: 3. Hypermetropic

Explanation: AT Birth- AP diameter 17 mm Corneal diameter 10 mm Anterior Chamber Shallow Angle Narrow Pupil - Small - Does not dilate fully Lens - Spherical- Infantile Nucleus present Retina - Fully Differentiated except Macula (completes by 4-6 months) Optic Nerve - Upto Lamina cribrosa myelination Refractive - HyperMetropic